HIV infects most commonly -
1. CD4+helper cells
2. CD8+cells
3. Macrophage
4. Neutrophil

Correct answer: 1. CD4+helper cells

Explanation: The primary oathigenic mechanism in HIV infection is the damage caused to the CD4+T lymphocyte. REF:ANANTHANARAYAN AND PANIKER'S TEXTBOOK OF MICROBIOLOGY 9TH EDITION PAGE NO:574